Bisphosphonate–induced osteomalacia is commonly seen with:
1. Alendronate
2. Pamidronate
3. Zolendronate
4. Etidronate

Correct answer: 4. Etidronate